Reactivation tuberculosis is almost excusively a disease of the
1. Lungs
2. Bones
3. Joints
4. Brain

Correct answer: 1. Lungs

Explanation: Persons who are previously exposed to tuberculous infection shows incidence of reactivation of primary tuberculosis and the pattern of lesions in such cases is similar to that of primary tuberculosis i.e. with involvement of hilar lymph nodes rather than cavitary and apical lesions in the lung. In addition, infection with M. avium-intracellulare occurs more frequently in cases of AIDS Ref: Textbook of pathology (harsh mohan)6th edition, page no.153